Exercise is also prescribed as an adjuvant treatment for depression. Most probably is acts by:
1. Increasing pulse pressure
2. Improving hemodynamics
3. Raising endorphin levels
4. Inducing good sleep

Correct answer: 3. Raising endorphin levels

Explanation: Ans. is 'c' ie Raising endorphin levels (Ref: Kaplan and Soddok's Comprehensive Textbook of Psychiatry 7/e, p106, 107)."It is well known that exogenous opioids (eg heroin, morphine) can induce a euphoric mood state and that exercise increases release of endogenous opioids and is associated with mood enhancement - Kaplanb endorphin is the principal endogenous opiods.The best documented function of endogenous opiates is in analgesia and alteration of pain perception.